True about Ogilive's syndrome are all except:
1. It is caused by mechanical obstruction of the colon
2. It involves entire / part of the large colon
3. It occurs after previous surgery
4. It occurs commonly after narcotic use

Correct answer: 1. It is caused by mechanical obstruction of the colon